The most efficient bactericidal system of neutrophils is
1. H2O2-MPO-Halide
2. NADPH oxidase
3. Lysozyme
4. Reactive nitrogen species

Correct answer: 1. H2O2-MPO-Halide

Explanation: H2O2-MPO-halide system is the most efficient bactericidal system of neutrophils H2O2 is not able to efficiently kill microbes by itself. the azurophilic granules of neutrophils contain the enzyme myeloperoxidase (MPO), in the presence of a halide such as Cl-, converts H2O2 to hypochlorite(OCl2-) which is a potent antimicrobial agent that destroys microbes by halogenation (in which the halide is bound covalently to cellular constituents) or by oxidation of proteins and lipids (lipid peroxidation). Robbins 9th ed page 79